Half life of dobutamine is -
1. 120 sec
2. 200 sec
3. 20 sec
4. 20 min

Correct answer: 1. 120 sec

Explanation: Ans. is 'a' i.e., 120 sec For dobutamine i) Onset of action ---> after 1-2 min. ii) Peak action between 1-20 iii) Duration of action < 10 min. Half life -*2 min.